Crown infarction is
1. Necrosis of pulp following a fracture
2. An incomplete fracture of enamel without loss of tooth structure
3. Fracture of crown en mass
4. Vertical fracture of crown

Correct answer: 2. An incomplete fracture of enamel without loss of tooth structure